Torus Aorticus is present in
1. Right Atrium
2. Right Ventricle
3. Left Ventricle
4. Left Atrium

Correct answer: 1. Right Atrium

Explanation: Torus aorticus is the prominent region of the right atrial septum, which marks the projection of the non-coronary aortic sinus into the right atrial wall. The bulge is superior to the coronary sinus and anterior to the fossa ovalisReference: Vishram Singh Anatomy; 2nd edition; Page no: 265